Which of the following nerves carry fibres from all the roots of brachial plexus:-
1. Axillary
2. Ulnar
3. Median
4. Musculocutaneous

Correct answer: 3. Median

Explanation: Median nerve is contributed by two roots given by lateral cord: C5, C6, C7 and medial cord: C8; T1. Radial nerve (C5, 6, 7, 8, T1) also carries fibres from all the roots of brachial plexus. If both given in options , Radial nerve > Median nerve .